The maximum DALY loss is for the following disease
1. Schizophrenia
2. Unipolar depression
3. Bipolar depression
4. Mania

Correct answer: 2. Unipolar depression

Explanation: DALY is called as Disability Adjusted Life year it was given by WHO to quantify the burden of various disorders it is studied as sum of years of life lost due to premature death plus years lost due to dysability it has been found that mood disorders and alcohol use disorder ranks highest in the DALY Reference: Kaplon and sadock, 11 th edition, synopsis of psychiatry, 11 th edition, pg no. 1400